A 55 year aged chronic alcoholic male, presented with irrelevant talks, tremor and sweating. He had his last drink 3 days back. What will be probable diagnosis?
1. Delirium tremens
2. Korsakoff's psychosis
3. Alcoholic hallucinations
4. Discontinuation syndrome

Correct answer: 1. Delirium tremens

Explanation: Alcoholic hallucinosis - is a rare condition characterized by distressing auditory hallucinations(usually of voices uttering threats) occurring in clear consciousness. Some patients argue aloud with the voices, others feel compelled to follow instructions from them. Delirium tremens - severe form of withdrawal that occur when patient is physical dependent on patient Features - Delirium - disorientation of time /place/time Coarse tremors of hand, autonomic hyperactivity, marked insomnia Hallucination - most common visual Dehydration and electrolyte imbalance - Delirium tremens usually lasts 3-4 days. As in other kinds of delirium, the symptoms are characteristically worse at night. The condition often ends in deep and prolonged sleep from which the person awakes with no symptoms and little or no memory of the period of delirium. Korsakoff's syndrome - 1. Amnesia - anterograde amnesia is common Especially a profound impairment of recent memory. The patient can recall events immediately after they have occurred, but cannot do so even a few minutes afterwards. Gaps in memory are often filled by confabulation. 2. Confabulation - false story/ honest lying because patient cannot recall event that occur sometime Before